SLE like syndrome is most commonly associated with administration of-
1. Rifampicin
2. Procainamide
3. Digitalis
4. Phenytoin

Correct answer: 2. Procainamide

Explanation: Ans. is 'b' i.e., Procainamide o Several drugs can cause a syndrome resembling SLE. o This syndrome is rare with all except Procainamide and Hydralazine, which are the most frequent offenders.